Tolvaptan is used in?
1. Hyponatremia
2. Hypernatremia
3. Nephrogenic diabetes insipidus
4. Decreased water clearance

Correct answer: 1. Hyponatremia

Explanation: Selective vasopressin V2 -receptor antagonist: is indicated for Hypervolemic and euvolemic hyponatremia (i.e., serum sodium level < 125 mEq/L) or less marked hyponatremia that is symptomatic and has resisted correction with fluid restriction. It is used for hyponatremia associated with congestive heart failure, liver cirrhosis, and SIADH secretion. Initiate or re-initiate in hospital environment only. Selective Vasopressin V2-receptor antagonist: causes an increase in urine water excretion results in an increase in free water clearance (aquaresis), a decrease in urine Osmolality, and an increase in serum sodium concentration